Which of the following micronutients have a role in regulation of binding of proteins to DNA?
1. Zinc
2. Copper
3. Selenium
4. Nickel

Correct answer: 1. Zinc

Explanation: Protein-DNA interactions are regulated by several motifs which includes Helix turn-Helix motif, Zinc finger motif and Leucine Zipper motif.